In a patient with culture-positive enterococcal endocarditis who has failed to respond to vancomycin because of resistance, the treatment most likely to be effective is :
1. Clarithromycin
2. Linezolid
3. Minocycline
4. Ticarcillin

Correct answer: 2. Linezolid